The site for injection of cell culture rabies vaccine -
1. Gluteus
2. Subcutaneous
3. Deltoid
4. Anterior abdominal wall

Correct answer: 3. Deltoid

Explanation: Rabies vaccine is given by either of two routes:-

i) Intramuscular: Deltoid (most preferred) and/or thigh (in children < 2 years, the anterolateral thigh is preferred).
ii) Intradermal: Over deltoid and/or thigh.

 In intramuscular regimen, injection is given intradermally over deltoid.